Addition of which of the following agent can help in elimination of 15-20 tablets of 10 mg dextroamphetamine -
1. Acetazolamide
2. NH4 CI
3. Penicillamine
4. Na HCO3

Correct answer: 2. NH4 CI

Explanation: Ans. is 'b' i.e., NH4CI Acidification of urine o Basic drugs are more ionized at acidic pH. So, acidification of urine should be done in poisoning of these drugs. o Examples of such basic drugs are morphine, amphetamine, dexfenfluramine. o Acidification of urine is done by iv infusion of arginine hydrochloride followed by ammonium chloride (NH4CI) by mouth.